When bleeding doesn't stop on applying pressure and patient having intermittent pain too, what should be the treatment taken into consideration?
1. DPC
2. Pulpotomy
3. Pulpectomy
4. None

Correct answer: 3. Pulpectomy

Explanation: The most important factors affecting the outcome of vital pulp therapy are preexisting health of the pulp, adequate removal of infected hard or soft tissues, careful operative technique to avoid damage to residual tissues, and elimination of microbial leakage around the final restoration. 
It can be difficult to gauge the health of the residual pulp as it is a matter of subjective assessment and relies on experience in pulp diagnosis. The degree of pulp bleeding upon exposure is a more reliable tool to judge the status of the pulp than the preoperative clinical signs and symptoms. 
Continued bleeding after minutes, even after rinsing with sodium hypochlorite solution, may suggest that the residual pulp was still heavily inflamed and a complete pulpectomy may be a more effective treatment modality. Removal of infected tissue is a matter of subjective experience but may be aided by various dyes. The final factor relies on the correct choice of restorative material and its adequate manipulation to prevent leakage.
 
Reference: Cohen Pathways of Pulp 11th ed page no 495